The following drugs can cause eosinophilic pneumonia except -
1. Nitrofurantoin
2. Amiodarone
3. Sulfonamides
4. Non-steroidal anti-inflammatory drugs (NSAIDs)

Correct answer: 2. Amiodarone